Radial tuberosity provides attachment to -
1. Brachialis
2. Biceps brachii
3. Triceps
4. Coracobrachialis

Correct answer: 2. Biceps brachii

Explanation: Ans. is 'b' i.e., Biceps brachii (Ref: Elsevier's integrated anatomy Vol 2 p 30).An anterior, rough portion of tubercle - For insertion of tendon of biceps brachii.A posterior smooth portions of tubercle - Bursa interposed between tendon & bone..